Parathyroid glands are supplied by which artery-
1. Common carotid
2. Superior thyroid
3. Middle thyroid
4. Inferior thyroid

Correct answer: 4. Inferior thyroid

Explanation: Each parathyroid receives blood supply from inferior thyroid artery, and also from the anastomosis between superior and inferior thyroid arteries.